A convalescent case of cholera remains infective for
1. 14-21 days
2. 7-14 days
3. < 7 days
4. 21-28 days

Correct answer: 1. 14-21 days

Explanation: Types of carriers in Cholera: